A 80 years old male presented with lung abscess in left upper zone. Best treatment modality is -
1. Antibiotics according to organisms
2. Surgical drainage
3. Tube thoracostomy
4. Wait and watch

Correct answer: 1. Antibiotics according to organisms